Most common complication of scaphoid fracture-
1. Malunion
2. Avascular necrosis of proximal part
3. Wriststiffners
4. Arthritis

Correct answer: 2. Avascular necrosis of proximal part

Explanation: Ans. is 'b' i.e., Avascular necrosis Complication of scaphoid fracture o Fractures of the scaphoid bone, even when undisplaced, are potentially troublesome and the incidence of complications is high, o The most important complications are :- Delayed union Non-union Avascular necrosis Osteoarthritis of wrist "AVN is the most common complication of a scaphoid fracture, occuring in 15% to 30% of cases". o Risk of AVN depends on the location of the fracture :- Fracture of the proximal segment (proximal 1/3) has the highest risk Fracture of middle segment (waist) has moderate risk Fracture of distal segment rarely causes AVN o The proximal part is more susceptible for AVN because of retrograde vascular supply. Most of the blood supply to the scaphoid enters distally, and proximal part has precarious supply after fracture through waist or proximal part of the bone. o Therefore, AVN occurs in proximal part.